The first neuromuscular blocker-
1. Succinylcholine
2. d-tubocurare
3. Atracurium
4. Doxacurium

Correct answer: 2. d-tubocurare

Explanation: The first agent to be used was d-tubocurare the purified and standardized product of plant chondrodendron tomentosum.